The process underlying differences in expression of a gene, according to which parent has transmitted, is called:
1. Anticipation
2. Mosaicism
3. Non-penetrance
4. Genomic imprinting

Correct answer: 4. Genomic imprinting